Infectionrate without antibiotic prophylaxis for clean contaminated surgery is
1. 1 - 2 %
2. 2 - 5 %
3. 6 - 9 %
4. 10 - 15 %

Correct answer: 3. 6 - 9 %

Explanation: Type of surgery
Infection rate with prophylaxis
Infection rate without prophyloxis


Clean surgery
1 - 2 %
1 - 2 %


Clean contaminated surgery
3%
6 - 9 %


Contaminated surgery
6 %
13 - 20%


Dirty surgery
7%
40%